Which of the following biochemical changes is not indicative of hyperlipidemia type II-A:
1. Total cholesterol increased
2. Triglycerides normal
3. LDL increased
4. HDL increased

Correct answer: 4. HDL increased

Explanation: Familial Hypercholesterolemia/ Type II -A hyperlipoproteinemia Defect either in LDL-receptors or Apo B100 apoprotein. Autosomal dominant. LDL levels & cholesterol- Raised TGs & HDL - Normal